M/C cause of hirsutism in a young female:
1. Ovarian tumor
2. Adrenal tumor
3. CAH
4. PCOS

Correct answer: 4. PCOS

Explanation: Ans. is d, i.e. PCOSRef: Leon Speroff 8th/ed, p545M/C cause of hirsutism in young females PCOD/PCOSM/C pathological cause of hirsutism in young females -- PCOS/PCOD.2nd M/C cause of hirsutism in young females is Idiopathic hirsutism